Which of the following is not true about chromothrypsis?
1. It is associated with chromosome rearrangements termed as chromosome shattering.
2. It is observed in 1% to 2% of cancers as a whole.
3. Associated with inactivation of oncogenes and activation of tumor suppressors.
4. Increased frequency of 25% of osteosarcomas and high frequency in gliomas

Correct answer: 3. Associated with inactivation of oncogenes and activation of tumor suppressors.

Explanation: Chromothrypsis Phenomenon by which up to thousands of clustered chromosomal rearrangements occur in a single event in localized and confined genomic regions Involved in cancer (1% -2%)and congenital diseases. Osteosarcomas and gliomas as well. Chromosome breaks occur within part or across the entirety of a single chromosome or several chromosomes. Activate oncogenes and inactivate tumor suppressors, thereby expediting the process of carcinogenesis.